The court which can sentence imprisonment for a maximum of 10 years
1. Chief Judicial Magistrate
2. First class Judicial Magistrate
3. Assistant Sessions court
4. Additional Sessions court

Correct answer: 3. Assistant Sessions court

Explanation: Answer: c) Assistant Sessions court (KS NARAYAN REDDY 33rd ED P-7)COURTS OF LAWCourtImprisonmentFineSupreme courtAny sentenceAny amount of fineHigh courtAny sentence authorized by lawAny amount of fineSessions courtAny sentence authorized by law (but death sentence must be confirmed by High court)Any amount of fineAssistant sessions court10 years imprisonmentAny amount of fineChief Judicial magistrateChief Metropolitan Magistrate7 years imprisonmentAny amount of fineFirst class Judicial magistrateMetropolitan Magistrate3 years imprisonment10000 rupeesSecond class judicial magistrate1 year imprisonment5000 rupees